In angina pectoris, the pain radiating down the left arm is mediated by increased activity in afferent (sensory) fibres contained in the
1. Carotid branch of the glossopharyngeal nerve
2. Phrenic nerve
3. Vagus nerve & recurrent laryngeal nerve
4. Thoracic splanchnic nerve

Correct answer: 4. Thoracic splanchnic nerve

Explanation: D. i.e. Thoracic splanchnic nerves